The following tests help in lab diagnosis of Kala azar except -
1. Bone marrow examination
2. Immobilization test
3. Blood smear examination
4. Aldehyde test

Correct answer: 2. Immobilization test

Explanation: All other tests are used except Immobilization test. Lab diagnosis :-